A 55-year-old male was diagnosed with pulmonary tuberculosis and started on standard 4 drug regimen. After 1.5 months, the patient developed peripheral neuropathy. Deficiency of a particular vitamin is responsible for peripheral neuropathy. This vitamin does not participate in which one of the following processes?
1. Niacin production
2. Heme synthesis
3. Glycogen synthesis
4. Transamination

Correct answer: 3. Glycogen synthesis

Explanation: Peripheral neuropathy is due to isoniazid induced pyridoxine deficiency. Niacin production: Kinureninanse is a PLP dependent enzyme Heme synthesis: ALA synthase is a PLP dependent enzyme Transamination: aminotransferases are PLP dependent enzymes Glycogenolysis: glycogen phosphorylase is a PLP dependent enzyme However, glycogen synthase enzyme does not depend on PLP as a co enzyme.